True about spermatogenesis:
1. It takes 74 days
2. Takes place in spermatic cord
3. Meiosis occurs only after secondary spermatocyte
4. Spermatid is formed from spermatozoa

Correct answer: 1. It takes 74 days

Explanation: Ans. (a) It takes 74 daysRef. Textbook of Human Embroyology / 24* Spermatogenesis - Process of formation of spermatozoa from primitive germ cell (spermatogonia)* Spermiogenesis - Formation of spermatozoa from spermatid.* Spermatogenesis begins at-puberty (oogenesis begins intrauterine life)* Spermatogenesis continue-throughout life (oogenesis- stops at menopause)* Average time-74 days* Site- seminiferous tubule* Sperm size- 55-65 pm* Parts- head, neck, middle piece, principal piece, end piece.* Acquire motility in- epididymis.